Which of the following brain tumors does not spread CSF?
1. Germ cell tumors
2. Medulloblastoma
3. CNS Lymphoma
4. Craniopharyngoma

Correct answer: 4. Craniopharyngoma

Explanation: Answer is D (Craniopharyngioma): 'Certain brain tumors such as medulloblastomas, primitive neurectodermal tumors, anaplastic ependymomas, choroid plexus carcinoma, pineoblastomas germ cell tumors and lymphomas may involve the CSF, leptomeningis of the brain or spinal cord'. Thus all tumors except craniophatyngiomas mentioned as options may involve CSF.